Most common cause of suprasellar enlargement with calcification in children is -
1. Craniopharyngioma
2. Astrocytoma
3. Meningioma
4. Suprasellar tuberculoma

Correct answer: 1. Craniopharyngioma

Explanation: Ans. is 'a' i.e., Craniopharyngioma "Presence of Suprasellar midline calcification immediately suggests the diagnosis of craniopharyngioma". Craniopharyngioma is the most common cause of suprasellar calcification. The site of calcification is characteristics It is in the middline It is immediately above the sella.